Postoperative vomiting is uncommon with this intravenous anaesthetic agent and patients are able to ambulate sooner than those who receive other anaesthetic agents:
1. Ketamine
2. Enflurane
3. Propofol
4. Remifentanil

Correct answer: 3. Propofol

Explanation: (Ref: KDT 6/e p375) Propofol is the most commonly used anaesthetic agent for 'day care surgery'.